Sonosalpingography is done for :
1. Measuring basal body temperature
2. To detect pregnancy
3. Testing tubal patency
4. Determining anovulatory cycel

Correct answer: 3. Testing tubal patency

Explanation: Testing tubal patency